One unit of fresh blood raises Hb% ( Hemoglobin concentration ) by
1. 0.1gm%
2. 0.5 gm %
3. 1gm%
4. 2 gm%

Correct answer: 3. 1gm%

Explanation: Single unit of whole blood raises Hb by 1 gm% and Hematocrit by 3% More than 70% of transfused cells will be viable after 24 hours Ref: Harrison's 19th edition Pgno :138